True about actinomycetes is:
1. Include A. israelii, Nocardia & Streptomyces are a group of organisms characterized as Gram-positive rods
2. Mycetomas can form as a result of traumatic injury, mainly in people working in farms and forests.
3. Organisms form filamentous or hyphae-like structures
4. All of the above

Correct answer: 4. All of the above

Explanation: Actinomycetes- include A. israelii, Nocardia & Streptomyces: Gram-positive rods commonly found in soil and decaying organic matter or as colonizers of body surfaces. In culture and lesions, these organisms form filamentous or hyphae-like structures. Eumycetoma- has a fungal origin. Mycetomas can form as a result of traumatic injury, mainly people working in farms and forests.